Prophobilinogen in urine produces pink colour with which of the following reagent?
1. Fouchet's reagent
2. Benedict's reagent
3. Sodium nitropruside
4. Ehrlich's aldehyde reagent

Correct answer: 4. Ehrlich's aldehyde reagent

Explanation: Prophobilinogen, urobilinogen and stercobilinogen reacts with Ehrlich's aldehyde reagent to form red colour. Ref: Vasudevan Biochemistry, 4th Edition, Pages 256, 493